Antitubercular drug which should not be given to a patient having both tuberculosis as well as AIDS is :
1. INH
2. Pyrazinamide
3. Ethambutol
4. Thiacetazone

Correct answer: 4. Thiacetazone